Not a feature of CBD stone:
1. Pain
2. Fever
3. Jaundice
4. Septic shock

Correct answer: 4. Septic shock

Explanation: Ans. (d) Septic shock* Septic Shock happens only when Charcot's triad of Cholangitis is not properly managed* Charcot's triad + Septic Shock + Altered mental Status = Reynauld's Pentad